Nasal spray is available for
1. PTH
2. Calcium
3. Calcitonin
4. Oestrogen

Correct answer: 3. Calcitonin

Explanation: Calcitonin is a polypeptide hormone produced by the thyroid gland. Its physiologic role is unclear because no skeletal disease has been described in association with calcitonin deficiency or excess. Calcitonin preparations are approved by the FDA for Paget's disease, hypercalcemia, and osteoporosis in women >5 years past menopause.A nasal spray containing calcitonin (200 IU/d) is available for treatment of osteoporosis in postmenopausal women.Ref: Harrison's Principles of Internal Medicine; 19th edition; Chapter 425 Osteoporosis; Page no: 2501